Which of the following drugs CANNOT be administered by inhalation?
1. Theophylline
2. Ipratropium bromide
3. Budesonide
4. Terbutaline

Correct answer: 1. Theophylline

Explanation: (Ref: KDT 6/e p220) b2 agonists like salbutamol and terbutaline can be administered by inhalational route. Ipratropium and tiotropium are inhalational anticholinergic agents. Inhalational steroids include budesonide, fluticasone, beclomethasone and flunisolide. Theophylline is given by oral route and is not used by inhalational route.